Maintainence of BP according to intracranial pressure is
1. Cushing reflex
2. Cushing disease
3. Starling's reflex
4. Gometz reflex

Correct answer: 1. Cushing reflex

Explanation: Cushings reflex is a special type of CNS ischemic response. The cause is raised intracranial tension. Mechanism isRaisrd intracranial tensionDecreased blood flow to brain Ischemia of VMCStimulation of VMCVasoconstriction andRt increase inRt BPStimulation of baroreceptors Sinoaoic reflex Stimulation of CICRelex bradycardia Ref: Textbook of medical physiology by N Geetha, 2nd edition, page no. 164